All are cluster B disorders of personality except
1. Antisocial
2. Narcissistic
3. Avoidant
4. Borderline

Correct answer: 3. Avoidant

Explanation: Cluster B consists of disorders considered "dramatic, emotional and erratic" and on a "psychopathic continuum". They have dramatic, impulsive and erratic features. There are 4 disorders that are classified under cluster B. It includes Antisocial (or Dissocial), Histrionic, and Borderline (or Emotionally Unstable) personality disorders. Ref: A Short Textbook of Psychiatry, Niraj Ahuja, 7th Edition, pg. no. 113 Kaplan and sadock synopsis of psychiatry, 11th edition, page no.742